All of the following can be used to treat alcohol dependence except
1. Naltrexone
2. Acamprosate
3. Flumazenil
4. Disulfiram

Correct answer: 3. Flumazenil

Explanation: Naltrexone is orally effective opiod antagonist useful in alcohol withdrawal. Acamprosate an NMDA receptor antagonist is useful in preventing relapse. Disulfiram is used to make alcohol consumption an unpleasant experience. It inhibit the enzyme aldehyde dehydrogenase. Ref: KD Tripathi 8th ed.